Best indicator of trend of Tuberculosis unaffected by current control measures is:-
1. Annual risk of infection
2. Prevalence of TB infection
3. % of primary drug resistance
4. % of multidrug resistance

Correct answer: 1. Annual risk of infection

Explanation: Annual risk of infection: Is the proportion of population which will be primarily infected with tuberculosis in course of 1 year. Is incidence of infection of TB. Is known as 'Tuberculosis conversion Index'. Best indicator of trend of TB unaffected by current control measures. ARI: 1-2%. For every 1% rise of ARI, there are 50 SS +ve cases /Lac population.